Which of the following is true about carcinoma of colon
1. Left colon tumors usually present with anaemia which is severe & unyielding to treatment
2. Mucinous carcinoma has excellent prognosis
3. Duke 'A' stage tumours need adjuvant chemotherapy
4. Solitary superficial hepatic metastasis is not a contraindication for resection

Correct answer: 4. Solitary superficial hepatic metastasis is not a contraindication for resection

Explanation: .* 40% of carcinoma colon spreads to liver portal veins. * Secondaries may be either solitary or multiple, present as liver with hard, umbilicated nodules. - Rarely it spreads to bone, lung, skin.* 20% of cases present as an acute intestinal obstruction. * 20% of colonic/colorectal cancer has stage IV disease at the time of first presentation. * Right sided growth commonly presents with anaemia, palpable mass in the right iliac fossa, which is not moving with respiration, mobile, nontender, hard, well localized with impaired resonant note. * Left sided growth presents with colicky pain, altered bowel habits (alternating constipation and diarrhoea), palpable lump, distension of abdomen due subacute/ chronic obstruction. Later may present like complete colonic obstruction. ref:SRB's manual of surgery,ed 5,pg no 907